Health care made universally accessible to individuals and acceptable to them is called
1. Primary health care
2. Essential health care
3. Community health care
4. Social Medicine

Correct answer: 1. Primary health care

Explanation: Ans. is 'a' i.e., Primary health care